Covalent bond is seen in
1. Hydrogen bond
2. Disulphide bond
3. Electrostatic bond
4. Ionic bond

Correct answer: 2. Disulphide bond

Explanation: Disulphide bonds: These are formed between two cysteine residues. They are strong, high energy covalent bonds.Ref: Textbook of medical biochemistry, MN Chatterji, 8th edition, page no: 89